Discrete, pus filled raised lesion is called
1. Pustule
2. Scale
3. Wheal
4. Plaque

Correct answer: 1. Pustule

Explanation: Pustule is discrete pus filled raised lesion.